Arc-C-5 in Countercurrent electrophoresis of Serum is diagnostic of?
1. Cysticercosis
2. Cryptococcosis
3. Hydatidosis
4. Brucellosis

Correct answer: 3. Hydatidosis

Explanation: Ans. is 'c' i.e., Hydatidosis Laboratory diagnosis of hvdatid cyst : Casoni's reaction Blood examination - ---> Eosinophilia Serological tests Precipitin reaction, Complement fixation test, Haemagglutination test, Flocculation test, IFA, Immuno electrophoresis (Arc 5) test. Exploratory cyst puncture Radiology X-ray, USG and CT Scan (most commonly used method for diagnosis)